Minimum duration between onset of symptoms and death is seen in:
1. APH
2. PPH
3. Septicemia
4. Obstructed labor

Correct answer: 2. PPH

Explanation: Ans. is b, i.e. PPHRef: Textbook of Prenatal Medicine by Kurjak and Chervenak 2/e, p 1945Friends - the most common of rapid death in obstetrics is PPH. In PPH, we can lose a patient within minute"In sharp contrast to APH, which usually claims life after 10 hrs if left untreated. PPH kills swiftly often in less than 2 hrs if not properly treated" --Textbook of Perinatal Medicine 2/e, p 1945.